Best drug to be used in obese type 2 diabetes meiiitus patient?
1. Metformin
2. Glipizide
3. Pioglitazone
4. Exenatide

Correct answer: 1. Metformin

Explanation: Ans. (a) MetforminRef.: Harrison 19th ed. / 2413-14* Drug of choice for obese type 2 diabetes mellitus is metformin. This drug increases the peripheral utilization of sugar by sensitizing the receptors. The fall in HbAlc is 1-2%.